Stapler used for MIPH
1. Linear cutting stapler
2. Circular cutting stapler
3. Linear stapler
4. Circular stapler

Correct answer: 2. Circular cutting stapler

Explanation: .. Stapled haemorrhoidopexy (Antonio Longo) is circumferential excision of the mucosa and submucosa 4 cm above the dentate line using circular haemorrhoidal stapler passed per anally (MIPH - Minimally Invasive Procedure for Haemorrhoids). Advantages are--It is less painful; less blood loss; faster recovery; short hospital stay and equally efficacious. It is done only for prolapsed piles. Improper purse string can cause incomplete doughnut leading to severe haemorrhage. ref:SRB's manual of surgery,ed 3,pg no 910